True regarding predisposing factors for penile carcinoma are all except:
1. Paget's disease
2. Genital warts
3. Circumcision
4. Leucoplakia

Correct answer: 3. Circumcision

Explanation: Ans: C i.e. Circumcision Premalignant conditions for carcinoma penis Leucoplakia of the glans (similar to the condition seen n the tongue), longstanding genital warts (which may rarely be the site of malignant change) & Paget's disease of the penis are definite precarcinomatous states Circumcision soon after birth confers immunity against carcinoma of penis. Later circumcision does not seem to have the same effect.